In fracture of femur popliteal artery is commonly damaged by
1. Proximal fragment
2. Distal fragment
3. Muscle haematoma
4. Tissue swelling

Correct answer: 2. Distal fragment

Explanation: B i.e. Distal fragment lit fracture supracondylar femur, the distal fragmentQ is markedly displaced by gastrocnemius, thus risking to the popliteal artery.